Which of the following is not produced by hepatocytes:
1. Gamma globulin
2. Albumin
3. Fibrinogen
4. Prothrombin

Correct answer: 1. Gamma globulin

Explanation: Ans. A: Gamma globulinThe hepatocyte manufactures serum albumin, fibrinogen, and the prothrombin group of clotting factors (except for Factor 3,4)It is the main site for the synthesis of lipoproteins, ceruloplasmin, transferrin, complement, and glycoproteinsThe liver forms fatty acids from carbohydrates and synthesizes triglycerides from fatty acids and glycerol. Hepatocytes also synthesize apoproteinsIt also synthesizes cholesterol from acetate and further synthesizes bile salts. The liver is the sole site of bile salts formationRemember the only major class of plasma proteins not synthesized by the liver are the immunoglobulins